Which is a prokaryote?
1. Virus
2. Archaebacteria
3. Fungi
4. Protozoan

Correct answer: 2. Archaebacteria

Explanation: (B) Archaebacteria# Classification:> Old 5 Kingdom system: Monera, Protists, Plants, Fungi, Animals> New 3 Domain System: Reflects a greater understanding & molecular evidence Prokaryote: Bacteria Prokaryote: Archaebacteria Eukaryotes: Protists, Plants, Fungi, Animals# Prokaryotes are devoid of membrane bound organelles, and thus> Nucleus: devoid of nuclear membrane and nucleolus> They do not contain Deoxyribonucleoproteins i.e. nucleic DNA is not associated with basic protein The genome consists of a single molecule double stranded DNA arranged in the form of a circle Mitotic division does not occur and these divide by Binary fission> Cytoplasm: It differs from eukaryote cytoplasm in not exhibiting protoplasmic streaming. Mitochondria, Endoplasmic Reticulum, Lysosomes and Golgi apparatus are all absent.> Chemical Composition: Cell wall of Prokaryotes contains Muramic acid and peptidoglycons while cell wall of Eukaryotes contains sterols.